All of the following are o3 fatty acids, EXCEPT?
1. a-Linolenic acid
2. Eicosapentaenoic acid
3. Docosahexaenoic acid
4. g-Linolenic acid

Correct answer: 4. g-Linolenic acid

Explanation: Delta system--when counting starts from carboxy end Omega system--when counting starts from the methyl group (omega C) o3 fatty acids are a-Linolenic acid Eicosapentaenoic acid Docosahexaenoic acid g-Linolenic acid (18:3 cis D6,9,12) is a o6 fatty acid. Fatty acid No of carbons No of double bonds Positon Dietary Source alpha-Linolenic acid 18:3 cis-(D9,12,15) 18 3 9,12,15 Flaxseed oil, Soya bean oil Eicosapentaenoic acid (EPA) (Timnodonic acid) 20 (Eicosa) 5 (penta) 5,8,11,14,17 Fish oil Docosahexaenoic acid (DHA) (Cervonic acid) 22 (Docosa) 6 (hexa) 4,7,10,13,16,19 Fish oil